The fracture seen in judicial hanging is:
1. Spondylolisthesis of C2 over C3
2. Fracture of odontoid process
3. Fracture of transverse process
4. Dislocation of C5

Correct answer: 1. Spondylolisthesis of C2 over C3

Explanation: Ans. (A). Spondylolisthesis of C2 over C3A hangman's fracture is a fracture of both pedicles or pars interarticularis of the axis vertebra (C2) and spondylolisthesis of C2 over C3